1, 25 dihydrocholecalciferol acts on ?
1. Surface receptors
2. Cytosolic receptors
3. Intranuclear receptors
4. None of the above

Correct answer: 3. Intranuclear receptors

Explanation: Ans. is 'c' i.e., Intranuclear receptors